Which of the following third generation cephalosporin has activity against MRSA (Methicillin Resistant Staphylococcus Aureus)?
1. Ceftriaxone
2. Ceftobiprole
3. Aztreonam
4. Cephalexin

Correct answer: 2. Ceftobiprole

Explanation: Ans. b. Ceftobiprole